All the following indicates early gastric cancer except
1. Involvement of mucosa
2. Involvement of mucosa and submucosa
3. Involvement of mucosa, submucosa and muscularis
4. Involvement of mucosa, submucosa and adjacent lymph nodes

Correct answer: 3. Involvement of mucosa, submucosa and muscularis

Explanation: Early gastric cancer is defined as adenocarcinoma limited to the mucosa and sub mucosa of the stomach, regardless of the lymphonode status.
Approximately 10% of patients with early gastric cancer are found to have lymph node metastasis on presentation.
The overall cure rate with adequate gastric resection and lymphadenectomy is —95%.
It has the best prognosis among stomach cancer subtypes.